Treatment of choice for genital was in pregnancy?
1. Salicylic Acid with Lactic Acid Solution
2. Podopylin
3. Imiqi mod
4. Cryotherapy

Correct answer: 4. Cryotherapy

Explanation: D i.e. Cryotherapy